A 17 year old girl had been taking a drug for treatment of acne for the last 2 years, which has lead to pigmentation. Which drug could it be?
1. Doxycycline
2. Minocycline
3. Azithromycin
4. Chlorpromazine

Correct answer: 2. Minocycline

Explanation: Minocycline is most commonly used for acne among tetracyclines The main effect of Minocycline- Hypersensitivity, Skin rashes, urticaria, glossitis, pruritus ani Complete cross-sensitization is exhibited by different tetracyclines. tetracyclines also cause Superinfection -They cause marked suppression of the resident flora. Though mouth, skin or vagina may be involved, intestinal superinfection by Candida albicans is most prominent The tetracycline should be discontinued at the first sign of superinfection and appropriate therapy instituted. Doxycycline and minocycline are less liable to cause diarrhoea, because only small amounts reach the lower bowel in the active form. ESSENTIALS of medical PHARMACOLOGY SEVENTH EDITION-KD TRIPATHI Page:735,736,737